A six year old male baby presents to a hospital with recurrent gross hematuria for 2 years. There is no h/o burning micturition or pyuria. Urine routine examination demonstrated no pus cells and urine culture was sterile. Serum C3 levels were normal. What is the most probable diagnosis ?
1. Wilm's tumor
2. IgA nephropathy
3. Post-streptococcal glomerulonephritis
4. Urinary tract infection

Correct answer: 2. IgA nephropathy

Explanation: Ans. is 'b' i.e., IgA nephropathy o It is a case of IgA nephropathy. About other options o Normal levels of C3 levels in serum helps to differentiate it form post streptococcal glomerulonephritis (in which C3 levels are reduced). o Wilm's tumor presents with mass in the abdomen whereas UTI usually presents with dysuria and routine microscope examination of urine shows pus cells.